Non keratinized squamous cancer of nasopharynx belongs to which category?
1. Type 1
2. Type 2
3. Type 3
4. Type 4

Correct answer: 2. Type 2

Explanation: Types of Nasopharyngeal carcinoma Type 1: Differentiated keratinizing squamous cell CA. Type 2: Non keratinizing carcinoma Type 3: Undifferentiated carcinoma In endemic area M/C is undifferentiated carcinoma